Premature ovarian insufficiency is defined as hypogonadotropic hypogonadism and amenorrhea arising before the age of
1. 40 years
2. 45 years
3. 50 years
4. 55 years

Correct answer: 1. 40 years

Explanation: Premature ovarian failure (POF), traditionally defined as hypogonadotropic hypogonadism and amenorrhea arising before the age of 40.Reference: Clinical gynecologic endocrinology; 10th edition; Chapter 9; Normal and Abnormal Sexual Development; Page no: 463